Which of the following virus is oncogenic ?
1. Arenavirus
2. Retrovirus
3. Reovirus
4. Corona virus.

Correct answer: 2. Retrovirus

Explanation: Ans. is 'b' i.e., Retrovirus